Timolol is contraindicated in:
1. Hypertension
2. Glaucoma
3. COPD
4. Aphakia

Correct answer: 3. COPD

Explanation: Ans. (C) COPD(Ref: KDT 8th/e p160-161)Timolol is a non-selective b -blocker. It can prevent b2 mediated bronchodilation and thus worsen the condition in patients of bronchial asthma and COPD.